Which of the following is not a feature of Sipple syndrome?
1. Pheochromocytoma
2. Medullary carcinoma thyroid
3. Hyperthyroidism
4. Hyperparathyroidism

Correct answer: 3. Hyperthyroidism

Explanation: Ans. is 'c' i.e., Hyperthyroidism Multiple endocrine neoplasia (MEN)1) MEN-1 (Wermer syndrome)# It involves primarily three glandsa) Parathyroid (parathyroid hyperplasia/adenoma): Most common manifestation.b) Pituitary: Prolactinoma is the most common type of pituitary tumor in MEN-I.c) Pancreas: There is let cell hyperplasia/adenoma.# Less common findings are pheochromocytoma, foregut carcinoid, lipomas and dermal angiofibroma.2) MEN-IIA (sipples syndrome)# It consists of medullary carcinoma thyroid, parathyroid hyperplasia/adenoma and pheochromocytoma of adrenal medulla.3) MEN-1IB# It consists of medullary carcinoma thyroid, pheochromocytoma, GIT neuromas and marfanoid features.